Prominent reticulocytosis is a feature of:
1. Aplastic Anemia
2. Hemolytic Anemia
3. Nutritional Anemia
4. Anemia of chronic disease

Correct answer: 2. Hemolytic Anemia

Explanation: Ans. (b) Hemolytic Anemia(Ref: Robbins 9th/pg 631-632)Prominent reticulocytosis is a feature of Hemolytic Anemia, while all others in the options have normal/ low reticulocyte count